Ananesthetic agent which is explosive in the presence of cautery
1. Nitrous oxide
2. Ether
3. Trilene
4. Halothane

Correct answer: 2. Ether

Explanation: Refer Goodman Gilman 11/e p341 KDT 6/e p 371 Ether is an explosive agent Is should not be used with cautery